Molluscum contagiosum is caused by
1. Pox virus
2. Varicella
3. Vaccinia
4. Herpes

Correct answer: 1. Pox virus

Explanation: Ans: a) Pox virusMolluscum contagiosum is seen in children and adults. It is characterised by pink o pearly white wart like nodules on the skin. Eosinophilic hyaline inclusion bodies called molluscum bodies are present Humans are the only susceptible hosts.Extra points:Certain inclusion bodies* Vaccinia - Guamieri bodies* Fowl pox - Bollinger bodies* Herpes, Yellow fever - Cowdry type A* Adeno, Polio - Cowdry type B